Acetyl CoA is necessary for
1. Aminoacid
2. Fatty acid synthesis
3. Glucose storage
4. All

Correct answer: 2. Fatty acid synthesis

Explanation: Transport of Acetyl CoA to Cytoplasm The starting material for de novo synthesis is acetyl CoA. It is formed inside the mitochondria from pyruvate. The inner membrane is not freely permeable to acetyl CoA. Hence the acetyl CoA units are delivered to the cytoplasm as citrate (Fig. 11.13). Citrate is transported from mitochondria by a tricarboxylic acid transporter. In the cytoplasm, citrate is cleaved to oxaloacetate and acetyl CoA. The enzyme is ATP citrate lyase. The oxaloacetate can return to the mitochondria as malate or pyruvate The first step in the fatty acid synthesis is the carboxylation of acetyl CoA to form malonyl CoA. The acetyl CoA carboxylase is not a part of the multienzyme complex. But it is the rate-limiting enzyme. Biotin, a member of B complex vitamins, is necessary for this reactionRef: MN Chatterjea Textbook of Medical Biochemistry, 8th Edition, Page no: 136